The new drug pemetrexed useful in breast cancer belongs to which of the following category of the drugs ?
1. Antitumor agent
2. Alkylating agent
3. Hormonal agent
4. Antimetabolite

Correct answer: 4. Antimetabolite